Which egg does not float in a saturated solution of saline?
1. Ankylostoma eggs
2. Trichuris eggs
3. Unfertilized eggs of ascaris
4. Fertilized eggs of ascaris

Correct answer: 3. Unfertilized eggs of ascaris